In which of the following a 'Cour-en-Sabot' shape of the heart is seen:
1. Tricuspid atresia
2. Ventricular septa! defect
3. Transposition of great arteries
4. Tetralogy of Fallot

Correct answer: 4. Tetralogy of Fallot

Explanation: Ans. Tetralogy of Fallot